Scientist who is considered as father of modern pharmacology
1. Ram Nath Chopra
2. Oswald Schmiedeberg
3. David Sackett
4. Paul Ehrlich

Correct answer: 2. Oswald Schmiedeberg

Explanation: Oswald Schmiedeberg is father of modern Pharmacology. Sir Ram Nath Chopra-father of Indian pharmacology, David Sackett is father of evidence-based medicine. Paul Ehrlich -father of chemotherapy